A 4 & 1/2 year old girl always had to wear warm socks even in summer season. On physical examination, it was noticed that she had high blood pressure and her femoral pulse was weak as compared to radial and carotid pulse, a chest radiography showed remarkable notching of ribs along with their lower borders. This was due to –
1. Femoral artery thrombosis
2. Coarctation of aorta
3. Raynaud's disease
4. Takayasa arteritis

Correct answer: 2. Coarctation of aorta